Bilateral phrenic nerve palsy is caused by ?
1. Carcinoma bronchus
2. Polio
3. Medullary carcinoma thyroid
4. Paget's disease

Correct answer: 2. Polio

Explanation: Ans. is 'b' i.e., Polio